Skeletal metastasis is common in:
1. Cancer stomach
2. Cancer pancreas
3. Hepatoma
4. Cancer breast

Correct answer: 4. Cancer breast

Explanation: Ans: d (Cancer breast)Ref: Maheshwari Ortho, 3rd ed, p. 224